Among the following, all are hydrophilic hormones that act on cytosolic receptors except one which is a lipophilic hormone that acts on nuclear receptor
1. Thyroxine
2. Epinephrine
3. GH
4. ACTH

Correct answer: 1. Thyroxine

Explanation: the hormone attaches to specific nuclear receptors The hormone complex bind to the DNARef: DM Vasudevan, 7th edition, page no: 674